In complicated cataract opacity develops in-
1. Anterior capsule
2. Nucleus
3. Posterior subcapsular
4. Cortical

Correct answer: 3. Posterior subcapsular

Explanation: Ans. is 'c' i.e., Posterior subcapsular * Complicated cataract refers to the lens opacification secondary to some other intraocular disease. Anterior uveitis is the most common cause. Other causes are posterior uveitis, pars planitis, corneal ulcer, ciliary body tumors, degenerative myopia, retinitis pigmentosa and retinal detachment.* Typically complicated cataracts occur in two forms :-1) Posterior cortical complicated cataract:- This type of cataract is due to affections of posterior segment. This cataract is located in a posterior subcapsular cataract and typically opacification starts in the posterior part of the cortex in the axial region (Posterior cortical cataract or posterior subcapsular cataract). On slit lamp examination the opacities have "bread- crumb" appearance. A characteristic sign is presence of polychromatic lusture of red, green and blues.2) Anterior cortical complicated cataractThis is due to the affection of anterior segment like glaucoma or anterior uveitis.